In which of the following a 'Coeur en Sabot' shape off the heart is seen –
1. Tricuspid atresia
2. Ventricular septal defect
3. Transposition of great arteries
4. Tetralogy of fallot

Correct answer: 4. Tetralogy of fallot

Explanation: Boot shaped heart (coeur en sabot) is seen in TOE